The growth and development in the craniofacial region occurs in following order
1. The head first, then width of face and length (or) depth of face after wards
2. the width of face, then head and length (or) depth of face after wards
3. The length (or) depth of face then width of face and the head
4. The head first, length (or) depth of face and then width of face

Correct answer: 1. The head first, then width of face and length (or) depth of face after wards